BRCA1 gene is located on which chromosome?
1. Chromosome 13
2. Chromosome 19
3. Chromosome 21
4. Chromosome 17

Correct answer: 4. Chromosome 17

Explanation: The BRCA2 gene is located on chromosome 13 and encodes over 3000 amino acids. It appears that BRCA2 plays an important role in male breast cancer.
• The human BRCA1 gene is located on the long (q) arm of chromosome 17